RNA which contains codon for specific amino acid
1. tRNA
2. rRNA
3. mRNA
4. None

Correct answer: 3. mRNA

Explanation: Amonng the different species of RNAs, it is only mRNAs that are linearly related to DNA and to polypeptide chain as an intermediary. It is this species of RNA that carries encoded message from the master molecule in the form of codons. It is these molecules that translate by decoding the information into polypeptide chains. It is ultimately the protein, having a unique structural and functional properties determine the structure and function of the cell that is why proteins are deemed to be molecular demy-gods. Proteins are the quintessence of the gene function at molecular level. Here the triple or tripartite relationship, between linear DNA, linear mRNA and linear polypeptide chain (in the form of nucleotides sequence and amino acid sequence respectively), is referred to as co-linearity. Two important functions that occur between the gene and the polypeptide chain, they are transcription and translation, which are separated in space and time. Ref-Harpers illustrated biochemistry 30/e p589